Abatacept is ?
1. TNF alpha inhibitor
2. Inhibitor of co-stimulation of T cells
3. IL-1 receptor antagonist
4. Monoclonal antibody against IL-6 receptor

Correct answer: 2. Inhibitor of co-stimulation of T cells

Explanation: Ans. is 'b' i.e., Inhibitor of co-stimulation of T cells T-cell costimulatory blockers Abatacept It is a fusion protein that combines the extracellular domain of the molecule CTLA4 (CD 154) with the Fc portion of a human immunoglobulin. It interferes with the interactions between antigen presenting cells and T lymphocytes. Therefore, it affects early stages in the pathogenic cascade of event in RA. CTLA4 has high affinity for CD 28 when abatacept binds to CD28 on T cell surface, it prevents the second signal from being delivered, thus turning down the T cell response. Additional effects are decreasing the production of T cell-derived cytokines including TNF.